Most probable diagnosis in child with midline swelling is ?
1. Thyroglossal cyst
2. Thyroid gland
3. Cystic hygroma
4. Dermoid cyst

Correct answer: 1. Thyroglossal cyst